Regarding Giardiasis, all of the following options are true except
1. Diarrhea with steatosis
2. Bloody diarrhea
3. Metronidazole is the drug of choice
4. Absence of fever

Correct answer: 2. Bloody diarrhea

Explanation: Ans. is 'b' i.e., Bloody diarrhea Giardiasis o Most of the infected patients are asymptomatic. o Giardia causes diarrhea arid malabsorption. Malabsorption is due to loss of brush border enzyme activities, which cause fat malabsorption (steatorrhea) and vitamin deficiency, o There may be abdominal pain, bloating, nausea & vomiting, flatulence and flatus. o The mechanisms by which Giardia causes an alteration in small bowel function are largely unknown. Although trophozoites adhere to the epithelium, they do not cause invasive or locally destructive alterations. o Fever; the presence of blood or mucus in the stools suggest a different diagnosis as all these are absent in giardiasis. o Giardia may also cause traveler's diarrhea. o Predisposing conditions to giardiasis are agammaglobulinemia, common variable immunodeficiency, and selective IgA-deficiency. Diagnosis and treatment o The gold - standard for diagnosis of giardiasis is the microscopic demonstration of the trophozoite, cyst or both in feces. o Duodenal aspirate or jejunal biopsy may be required for diagnosis. o In acute giardiasis trophozoites show the typical ''falling-leaf' motility in wet mount examination of feces, o Metronidazole and tinidazole are the drug of choice for Giardia lamblia.